In an HIV infected individual Gram stain of lung aspirate shows yeast like morphology. All of the following are the most likely diagnosis except
1. Candida tropicalis
2. Cryptococcus neoformans
3. Pencillium marneffei
4. Aspergillus fumigates

Correct answer: 4. Aspergillus fumigates

Explanation: Candida tropicalis is a yeast-like fungus. Cryptococcus neoformans is a yeast. Penicillium marneffei is a dimorphic fungus so it shows yeast like morphology. Aspergillus fumigatus is a mould. Reference: Textbook of Microbiology; Baveja; 4th edition